Contraceptive efficacy expressed as
1. 100 women months
2. 1000 women years
3. 100 women years
4. 10 women years

Correct answer: 3. 100 women years

Explanation: Contraceptive efficacy is assessed by measuring the number of unplanned pregnancies that occur during a specified period of exposure and use of contraceptive methods.Contraceptive efficacy is measured using Pearl index and life table analysis. Pearl index is number of failure per 100 woman-years of exposure (HWY) HWY=total accidental pregnancies/total months of exposure.*1200 Life table analysis measure failure rate per month of exposure. Park's textbook of preventive and social medicine.K Park. Edition 23.Pg no: 510